Lumbar sympathectomy is indicated in -a) Intermittent claudicationb) TAO with skin changesc) Buerger's diseased) Raynaud's disease
1. a
2. c
3. ac
4. bc

Correct answer: 4. bc